First symptom to appear in alcohol withdrawal is:
1. Visual hallucinations
2. Sleep disturbance
3. Tremors
4. Delirium

Correct answer: 3. Tremors

Explanation: Tremors usually appear 6-8 hours after last alcohol intake. Withdrawal symptoms : After 6-8 hrs: Tremors (m/c), nausea, vomiting restlessness, mydriasis After 12-24 hrs: alcoholic hallucinosis (auditory) m/c After 24-48 hrs: Alcohol withdrawal seizures (GTCS, clustered seizures) After 48-72 hrs: delirium tremens, if untreated mortality rate is 20%